Joint NOT involved in Rheumatoid Arthritis:
1. D.I.P
2. P.I.P
3. M.C.
4. Wrist

Correct answer: 1. D.I.P

Explanation: Ans. (a) D.I.PRef: Maheshwari 5th ed. 1287* Rheumatoid arthritis characteristically causes swelling of small joints in the hand like the P.I.P, M.C.P and the wrist joint bilaterally.* Isolated D.I.P joint involvement is seen in psoriatic arthropathy.* D.I.P joint involvement is also seen with osteo-arthritis but the involvement is with pain at the base of thumb. Knee joint is the commonest joint involved in these patients.